Which of the following is TRUE about sliding esophageal hernia in all cases?
1. Esophagus is always short
2. Cardia goes through hiatus
3. Cardia and fundus goes through hiatus
4. Peritoneal sac goes with paraesophageal hernia

Correct answer: 2. Cardia goes through hiatus

Explanation: Sliding hernia is characterized by upward dislocation of the cardioesophageal junction into the posterior mediastinum. As such option 3 gives the picture of mixed hernia not of sliding hernia. In paraesophageal hernia whole or part of the stomach herniates into the thorax immediately adjacent and to the left of the undisplaced cardioesophageal junction so option 4 is also not correct in respect of paraesophageal hernia. Short esophagus is not a congenital anomaly, long standing reflux esophagitis causes esophagus to contract longitudinally producing secondary hiatal hernia, so esophagus is not always short. Ref: Bailey & Love 25/e, Page 1022 ; Schwartz 9/e, Page 842